Antibodies present in person with 0 blood group:
1. Anti-A antibody only
2. Anti-B antibody only
3. Both Anti-A and Anti-B antibody
4. No antibody

Correct answer: 3. Both Anti-A and Anti-B antibody

Explanation: Ans. (c) Both Anti-A and Anti-B antibody Ref. Ananthanarayan 9/e 191 Agglutinated by Agglutinates cells Group Antigen present serum of group Antibody present of group A A B, 0 Anti-B B, AB B B A. 0 Anti-A A, AB AB A and B A, B, 0 None None 0 None None Anti-A and Anti-B A, B, AB